Nothing is an offence which is done by a child under seven years of age' is included under which of the following section:
1. Section 82 IPC
2. Section 83 IPC
3. Section 84 IPC
4. Section 85 IPC

Correct answer: 1. Section 82 IPC

Explanation: Medicolegal importance of age